Deficiency of enzyme hexosaminidase, α subunit causes -
1. Tay-Sach's disease
2. Hurler syndrome
3. Fabry disease
4. Pompe disease

Correct answer: 1. Tay-Sach's disease